"Sulfur granules" are a feature of:
1. Clostridia
2. Actinomyces
3. Aspergillus
4. Nocardia

Correct answer: 2. Actinomyces

Explanation: Actinomyce